DICOM is
1. Image quality standards for all medical applications
2. Digital image receptor system
3. Computer designed cephalogram
4. Metal oxide semiconductors

Correct answer: 1. Image quality standards for all medical applications